Amelogenesisimperfecta is due to?
1. ENAM
2. MSX-1
3. DSPP
4. PAX-9

Correct answer: 1. ENAM